Diabetes mellitus is associated with all except -
1. Pendred syndrome
2. Down's syndrome
3. Turner's syndrome
4. Klinefelters syndrome

Correct answer: 1. Pendred syndrome

Explanation: Ref -researchgate.net